Intestinal anastamosis strength provided by:
1. Mucosa
2. Submucosa
3. Serosa
4. Muscularis mucosa

Correct answer: 2. Submucosa

Explanation: Ref: American College of Surgeons text hook of Surgery, 6th edition. Chapter on Intestinal Anastamosis.Explanation:Strongest component of bowel wall is submucosa. due to the presence of collagen.The process of intestinal anastomotic healing mimics that of wound healing elsewhere in the bodyIt can be arbitrarily divided into an- Acute inflammatory (lag) phase- A proliferative phase- A remodeling or maturation phase.The strongest component of the bow el wall, the submucosa, owes most of its strength to the collagenous connective tissue it contains.Collagen is thus the single most important molecule for b. which makes its metabolism of particular interest for understanding anastomotic healing.Principles of Successful Intestinal Anastomosis* Well-nourished patient with no systemic illness* No fecal contamination, either within the gut or in the surrounding peritoneal cavity* Adequate exposure and access* Well - vaseu1arized tissues* Absence of tension at the anastomosis* Meticulous technique